Nitric oxide is a potent vasodilator. Where is it produced from?
1. Endothelium
2. RBC
3. Platelets
4. Lymphocytes

Correct answer: 1. Endothelium

Explanation: Nitric oxide, known as the 'endothelium-derived relaxing factor', or 'EDRF'. Endothelial cells contain the constitutive form of nitric oxide synthase, which produces moderate amounts of nitric oxide by metabolizing L-arginine. The endothelium of blood vessels uses nitric oxide to signal the surrounding smooth muscle to relax, thus resulting in vasodilation and increasing blood flow. Functions: Endothelium-derived nitric oxide inhibits contraction and proliferation of the underlying vascular smooth muscle, adhesion of blood cells and platelets, and platelet aggregation. Ref: Hypertension Primer: The Essentials of High Blood Pressure By Joseph L Izzo, Jr, Henry R Black, M.D., Theodore L. Goodfriend, 2003, Page 44; Guyton's physiology, 22nd edition, Page 199